Treatment of Rolandic epilepsy is
1. Phenytoin
2. Lamotrigine
3. Carbamazepine
4. ACTH

Correct answer: 3. Carbamazepine

Explanation: Rolandic epilepsy otherwise called as benign childhood epilepsy with centrotemporal spikes.It typically starts during childhood and is outgrown in adolescence.The child typically wakes up at night due to focal seizures causing throat tingling and tonic/clonic contractions of one side of the face with preserved consciousness.Seizure syndromesDrug of choiceROLANDIC EPILEPSYCARBAMAZEPINEWEST SYNDROME/ INFANTILE SPASMSACTH(FIRST CHOICE)VIGABATRIN(SECOND CHOICE)VALPROATE/CLONAZEPAMDRAVET SYNDROMEVALPROATE/CLONAZEPAM